"Boiler's notch" is suggestive of ?
1. Conductive Hearing Loss
2. Noise Induced Hearing Loss (NIHL)
3. Both 1 and 2
4. Normal Finding

Correct answer: 2. Noise Induced Hearing Loss (NIHL)

Explanation: Boiler notch/Acoustic dip is seen in Noise induced hearing loss NIHL Boiler notch at 4000Hz Notch is seen in BC curve AC curve notch are insignificant Maximum seen at 3000-6000Hz Sound causing maximum NIHL 2000-3000Hz Stereocilia of Outer hair cells are first to be affected